Retraction balls' after trauma are seen in:
1. Brain
2. Spleen
3. Liver
4. Lung

Correct answer: 1. Brain

Explanation: Ans. Brain